Which of them is not affected by vitamin K deficiency:
1. Factor IX
2. Factor VII
3. Factor II
4. Factor VIII

Correct answer: 4. Factor VIII